Which of the following statements is true for excitatory postsynaptic potentials (EPSP):
1. Are self propagating
2. Show all or none response
3. Are proportional to the amount of transmitter released by the presynaptic neuron
4. Are inhibitory at presynaptic terminal

Correct answer: 3. Are proportional to the amount of transmitter released by the presynaptic neuron

Explanation: C i.e. Are proportional to the amount of transmitter released by the presynaptic neuron